Sec 174 CrPC deals with -
1. Inquest
2. Inquiry
3. Murder
4. Medical negligence

Correct answer: 1. Inquest

Explanation: Sec 174 CrPC deals with police inquest.